Neostigmine -
1. It is a quaarnary amounium compound
2. Metabolised in liver
3. It can cross the blood brain harrier
4. Prominent effect on smooth muscles

Correct answer: 1. It is a quaarnary amounium compound

Explanation: Ans. is `a' i.e., It is a quaarnary amounium compound Tertiary amine Vs quartenary ammonium compound o Neostigmine is a quartenary ammonium compound. o Quartenary ammonium compounds are lipid insoluble and diffuse poorly across the membrane : - Li Oral absorption ---> Poor CNS penetration --> poor No CNS action Applied to eye No penetration of cornea. More marked effect on skeletal muscles, ganglia, but muscarinic effects are less prominant. o In contrast, physostigmine is a tertiary amine derivated. o Tertiary amine compounds are lipid soluble and diffuse easily across the membrane :- Oral absorption Good CNS penetration --> Good Produce CNS actions. Applied to eye --> Penetrate cornea. More marked muscarinic and CNS effect.